A non diabetic, non hypertensive patient has some extra beats in pulse. Doctor informed that is benign and no intervention required. But patient is worried that it is a serious cardiac disorder and is still going for repeated investigation & going from doctor to doctor. This is a type of:
1. Conversion disorder
2. Hypochondriosis
3. Somatization
4. Depression

Correct answer: 2. Hypochondriosis

Explanation: Interpretation of benign symptom (extra beats) as a serious illness (cardiac disorder) is suggestive of Hypochondriosis.